All of the following are true about coronary artery except:
1. Right coronary artery lies in right anterior coronary sulcus
2. Left anterior descending artey is a branch of left coronary artery
3. Usually 3 obtuse marginal arteries arise from left coronary artery
4. In 85% cases posterior descending interventri-cular artery arises from right co. a.

Correct answer: 3. Usually 3 obtuse marginal arteries arise from left coronary artery

Explanation: C i.e. Usually 3 obtuse marginal arteries arise form left coronary artery